Scabies in children differs from that in adults in that it affects
1. Webspace
2. Face
3. Genitalia
4. Axilla

Correct answer: 2. Face

Explanation: B. i.e. Face